Important in Herpes simplex involvement of the eye are all EXCEPT:
1. Type of lesion
2. Corneal anaesthesia
3. Iridocyclitis
4. Purulent discharge

Correct answer: 4. Purulent discharge

Explanation: Ans. D i.e. Purulent discharge Decreased corneal sensations, dendritic and geographical ulcers are characteristic features of Herpes simplex ocular disease